A 5 years old child presented to the OPD with complaints of rectal prolapse; On examination stunting and growth retardation was documented; What is the parasitological cause for this clinical feature
1. Trichuris trichura
2. Enterobius vermicularis
3. Giardia lamblia
4. Trichinella spiralis

Correct answer: 1. Trichuris trichura

Explanation: * Clinical features of rectal prolapse is a direct clue for diagnosis: Trichuriasis * This Infection is acquired by ingestion of soil with embryonated eggs (has rhabditiform larvae) * It usually affects children and remains asymptomatic * Heavy infection causes rectal prolapse in children; appendicitis; Lab diagnosis:- Demonstration of barrel shaped eggs with mucous plugs in feces Ref:- T.B of medical parasitology S.C.Parija 4th edition; pg num:- 265